The structures passing posterior to diaphragm are all except ?
1. Aorta
2. Azygous vein
3. Thoracic duct
4. Greater splanchnic nerve

Correct answer: 4. Greater splanchnic nerve

Explanation: The aorta passess posterior to the diaphragm.Accompanying the aorta through the aortic hiatus is the thoracic duct and the azygous vein.The greater and lesser splanchinic nerves passess through the crura on either side.